Onion skin lesions, in the muscular layer of arteriole, are seen in -
1. SLE
2. Benign nephrosclerosis
3. Malignant nephrosclerosis
4. RPGN

Correct answer: 3. Malignant nephrosclerosis